Breast lump is best diagnosed by:
1. FNAC
2. Bilateral Mammography
3. USG
4. CECT breast

Correct answer: 1. FNAC

Explanation: Ans. A i.e. FNAC